Which of the following is true of propylthiouracil?
1. It is used in the treatment of myxedema
2. It has a long half-life in the circulation
3. It increases proteolysis of thyroglobulin
4. It blocks thyroxine synthesis

Correct answer: 4. It blocks thyroxine synthesis

Explanation: Ans. is 'd' i.e., It blocks thyroxine synthesis o Propylthiouracil blocks thyroxine synthesis by inhibiting thyroid peroxidase, and preventing oxidation of iodide/ iodotyrosyl residues, there by Inhibit iodination of tyrosine residue in thyroglobulin. Inhibit coupling of MIT and DIT to form T3 & T4. o Propylthiouracil also inhibit the peripheral conversion of T4 to T3. About other options o It is a hypothyroid drug, cannot be used in myxedema (hypothyroidism). It has a short VA - 1-2 hours. It does not increase proteolysis of thyroxine.